A patient is having right lateral rectus palsy. His head will be deviated:
1. Towards right
2. Towards left
3. Upwards
4. Downwards

Correct answer: 1. Towards right

Explanation: Ans: A i.e. Towards right Head is turned towards the direction of action of the paralysed muscle. So in right lateral rectus muscle palsy, which moves the eyeball towards right side, head will be deviated towards right